Process by which an individual gradually aquires culture and becomes a member of a social group is called?
1. Socialization
2. Accultration
3. Socialism
4. Custom

Correct answer: 1. Socialization

Explanation: - Process by which an individual gradually aquires culture and becomes a member of a social group is called socialization. - children going to School is an instance of socialization. Reference : Park's textbook of preventive and social medicine, 23rd edition, pg no:671